In post-hepatic jaundice, the concentation of conjugatedbilirubin in the blood is higher than that ofunconjugated bilirubin because :
1. There is an increased rate of destruction of red blood cells.
2. The unconjugated bilirubin is trapped by the bile stone produced in the bile duct.
3. The conjugation process of bilirubin in liver remains operative without any interference.
4. The UDP- glulcuronoyltransferase activity is in creased manifold in obstructive jaundice.

Correct answer: 3. The conjugation process of bilirubin in liver remains operative without any interference.

Explanation: . The conjugation process of bilirubin in liver remains operative without any interference.